Follow up of Low-risk GTN is done for
1. 3 months
2. 6 months
3. 12 months
4. 24 months

Correct answer: 3. 12 months

Explanation: For a molar pregnancy, post-evacuation surveillance is done at least for 6 months once b-hCG level becomes normalLow-risk GTNWeekly measurement of hCG levels until they are normal for 3 consecutive weeksMonthly measurement of hCG values until levels are normal for 12 consecutive monthsHigh-Risk Metastatic GTNWeekly determination of hCG levels until they are normal for 3 consecutive weeksMonthly determination of hCG levels until they are normal for 24 consecutive monthsThese patients require prolonged follow-up because they are at increased risk of late recurrenceReference: William's Obstetrics; 25th edition, chapter 20; Gestational trophoblastic diseases